Treatment options for stage IV endometrial carcinoma is :
1. Only surgery
2. Only chemotherapy
3. Only radiotherapy
4. Surgery, Radiotherapy, Chemotherapy and Hormonal therapy

Correct answer: 4. Surgery, Radiotherapy, Chemotherapy and Hormonal therapy

Explanation: Treatment for Stage IV endometrial carcinoma is Palliative radiotherapy, chemotherapy and progestogen may prolong life. The study of lymph nodes will determine the need for postoperative pelvic radiotherapy. Reference: Shaw's Textbook of Gynaecology 16th edition page no 512